A 45-year-old male, Sanjeev was brought to the emergency with severe agitation and aggressive behavior. He was started on haloperidol and the patient became responsive and cooperative. After 8 days of treatment, he developed high grade fever, diarrhea, confusion and muscle rigidity. Which of the following should be used for the treatment of this condition?
1. Diazepam
2. Benzhexol
3. Dantrolene
4. High dose of haloperidol

Correct answer: 3. Dantrolene

Explanation: (Ref: Katzung 11/e p499) Diagnosis in this patient is neuroleptic malignant syndrome (NMS). It is an adverse effect caused by typical antipsychotic drugs like haloperidol. It presents clinically with four primary features: (1) hyperthermia, (2) extreme generalized rigidity, (3) autonomic instability, and (4) altered mental status. Dantrolene is drug of choice for this condition.